Discharging sinus is seen in –
1. Syphilis
2. Herpes
3. Actinomycosis
4. Molluscum contagiosum

Correct answer: 3. Actinomycosis